Which of the following tumor causes invasion of 1VC?
1. Hepatocellular carcinoma
2. Renal cell carcinoma
3. Gall bladder carcinoma
4. Pancreatic carcinoma

Correct answer: 2. Renal cell carcinoma

Explanation: ANSWER: (B) Renal cell carcinomaREF: Smith urology 17th ed page 332MRI is superior to CT in assessing inferior vena caval involvement in RCCTNM CLASSIFICATION SYSTEM FOR RENAL CELL CARCINOMAPrimary tumors (T)TXPrimary tumor cannot be assessedT0No evidence of primary tumorT1Tumor <7 cm in greatest dimension, limited to the kidneyTlaTumor <4 cm in greatest dimension, limited to the kidneyTibTumor >4 cm but <7 cm in greatest dimension, limited to the kidneyT2Tumor >7 cm in greatest dimension, limited to the kidneyT2aTumor >7 cm but <10 cm in greatest dimension, limited to the kidneyT2bTumor >10 cm, limited to the kidneyT3Tumor extends into major veins or perinephric tissues but not into the ipsilateral adrenal gland and not beyond the Gerota fasciaT3aTumor grossly extends into the renal vein or its segmental (muscle-containing) branches, or tumor invades perirenal and/or renal sinus fat but not beyond the Gerota fasciaT3bTumor grossly extends into the vena cava below the diaphragmT3cTumor grossly extends into the vena cava above the diaphragm or invades the wall of the vena cavaT4Tumor invades beyond the Gerota fascia (including contiguous extension into the ipsilateral adrenal gland)Regional lymph node (N)NXRegional lymph nodes cannot be assessedN0No regional lymph node metastasisN1Metastasis in regional lymph node(s)Distant metastasis (M)M0No distant metastasisMlDistant metastasis